Diabetic gangrene is due to:
1. Ischemia
2. Increased blood glucose
3. Altered host defence and neuropathy
4. All of the above

Correct answer: 4. All of the above

Explanation: Ans. D i.e. All of the above